Hallucination is seen with?
1. Propofol
2. Sevoflurane
3. Ketamine
4. Isoflurane

Correct answer: 3. Ketamine

Explanation: Ans. (c) KetamineRef.: Anaesthesia for Medical Students by Sullivan 1999 ed p 83